Best management in Mento-posterior presentation:
1. Vaginal delivery
2. Forceps delivery
3. Manual rotation
4. Caesarean section

Correct answer: 4. Caesarean section

Explanation: Caesarean section